Rhabdomyolysis is caused by -
1. Sea snake
2. Cobra
3. Viper
4. Krait

Correct answer: 1. Sea snake

Explanation: sea snake Venom -- myotoxic Rhabdomyolysis is a condition that occurs due to the breakdown of muscle tissue. REF;THE SYNOPSIS OF FORENSIC MEDICINE:KS NARAYANA REDDY;28th EDITION;PAGE NO322